. Tretinoin is useful in the treatment of -
1. M2
2. M3
3. M5
4. M7

Correct answer: 2. M3

Explanation: Tretinoin is a cancer medication used to treat acute promyelocytic leukemia Acute Promyelocytic Leukemia For use in patients with APL classification M3, which is characterized by the presence of t(15;17) translocation and/or the presence of the PML/RAR-alpha gene, who are refractory to, or have relapsed from, anthracycline chemotherapy, as well as for use in patients for whom anthracycline-based chemotherapy is contraindicated Ref Davidson 23rd edition pg 1313